An 85 years old man underwent transurethral resection of prostate. A histological examination of his specimen showed T1a stage of adenocarcinoma: management will be:
1. Endocrine therapy
2. Radical surgery
3. Hormone therapy
4. No further treatment

Correct answer: 4. No further treatment

Explanation: Management of CA prostate- T1a- observation+ Follow up (DRE+ PSA)- T1b, T1c, T2* > 70 years - Observation + follow up* < 70 years - Radical prostectomy Or RadiotherapyT3, T4 * Hormone therapy > Palliative radiotherapy* Bilateral Orchidectomy + Flutamide* LHRH Agonist (Goserelin, Leuperolide) + Flutamide- Goserelin -Recently FDA approved for advanced and metastatic CA prostate